By which nerve is the hip joint supplied ?
1. Deep peroneal
2. Femoral
3. Sciatic
4. Posterior cutaneous nerve of thigh

Correct answer: 2. Femoral

Explanation: Nerve supply of hip joint
-        Femoral nerve- by nerve to rectus femoris
-        Obturator nerve- by anterior division
-        Nerve to quadratus femoris
-        Superior gluteal nerve